In portal hypertension lower end of the esophagus may show dilatation of veins. Which of the following veins drains into the portal vein from the lower end of the esophagus
1. Right gastric
2. Left gastric
3. Hemiazygos
4. Inferior phrenic

Correct answer: 2. Left gastric

Explanation: At the lower end of esophagus, the esophageal tributaries of left gastric vein (draining into the portal vein) anstomoses with esophageal tributaries of accessory hemiazygos vein(systemic).Reference: Textbook of anatomy, Abdomen and lower limb, Vishram Singh, 2nd edition, page no.141